True statement about elastic cartilage is
1. Chondrocytes are found in a threadlike network of elastic fibers within the matrix.
2. The collagen fibers are predominately type II collagen.
3. It has a perichondrium.
4. All of the above

Correct answer: 4. All of the above

Explanation: Elastic cartilage
→ Chondrocytes are found in a threadlike network of elastic fibers within the matrix.
→ The collagen fibers are predominately type II collagen .
→ It provides strength, elasticity and maintains the shape of certain structure such as the external ear .
→ It has a perichondrium